Gastric lavage is contraindicated in all the following poisonings except
1. Phenol
2. Kerosene
3. Nitric acid
4. Sulphuric acid

Correct answer: 1. Phenol

Explanation: Contraindications of Gastric Lavage: - The only absolute contraindication is corrosive poisoning (except carbolic acid), owing to the danger of perforation. Gastric lavage can be done with proper precautions. * Convulsant poisons * Comatose patients * Volatile poisons, which may be inhaled. * Oesophageal varices. * In patients with marked hypothermia, and haemorrhagic diathesis Ref:- Essentials of Forensic medicine Dr KS narayana Reddy 33th Edition; Pg num:- 516